Which is not a method of behavioural treatment used in alcoholics
1. Aversion therapy
2. Cue exposure
3. Home detoxification
4. Alcoholic anonymous

Correct answer: 3. Home detoxification

Explanation: BEHAVIORAL THERAPY - AVERSION THERAPY, CUE EXPOSURE, ALCOHOLIC ANONYMOUS, PSYCHOTHERAPY AND COUNSELLING Behavioural treatment: Behavioural treatment is based on the theory that many important aspects of human learning takes place by imitating the behaviour of others by a much greater attention to cognitive process in specifically human learning. The behavioural therapy includes: (i) Aversion therapy: The principal of aversion therapy is simply to attempt to create an aversive conditioned response to alcohol by pairing stimuli as associated with alcohol taking. They produce effects like nausea or electric shock on taking alcohol e.g. Emetine (ii) Cue exposure: It is the latest method; the alcoholics are exposed to alcoholrelated cues such as Pubs or friends. (iii) Psychotherapy and counselling (iv) Alcoholic anonymous